In which part of body a lesser impact causes maximum bruise ?
1. Face
2. Sole
3. Back
4. Palm

Correct answer: 1. Face

Explanation: If the part is vascular and loose, such as face, vulva, scrotum, a small degree of violence may cause a large bruise.